Blue line on the gums is seen in chronic ..... poisoning :
1. Fig
2. Pb
3. Ag
4. All

Correct answer: 4. All

Explanation: B i.e. Pb > A i.e. Hg, C i.e. Ag